Which of the following is a tricyclic antidepressant?
1. Vanalafexine
2. Fluoxetine
3. Doxepine
4. Citalopram

Correct answer: 3. Doxepine

Explanation: Ans. is 'c' i.e., Doxepine